Which of the following is the manifestation of carcinoma stomach?
1. Troisier's sign
2. Trousseau's syndrome
3. Irish node
4. All of the above

Correct answer: 4. All of the above

Explanation: Other manifestation of Ca. Stomach L Axilla LN - Irish node L S/C LN - Virchow's node (Troiser's sign) Cutaneous metastatic deposits nears umbilicus - Sister Mary joseph node Palpable intra-peritoneal mets on DRE - Blummer's shelf Involvement of ovary - Krukenberg tumor Migratory superficial thrombophlebitis - Trousseau syndrome